Calendar method was described by -
1. Bitings
2. Ogino
3. Wallace
4. Ogive

Correct answer: 2. Ogino

Explanation: Park's textbook of preventive and social medicine 23rd edition. *safe period or rhythm method, calender method first discovered by Ogino in 1930 .the method is based on the fact that ovulation occurs from 12 to 16 days before the onset of menstruation.